Which is not true about thoracic outlet syndrome ?
1. Radial Nerve is commonly affected
2. Neurological features are most common
3. Resection of Pt rib relieves symptom
4. Positive Adson's test

Correct answer: 1. Radial Nerve is commonly affected

Explanation: Ans is 'a' ie Radial Nerve is commonly affected Not the Radial nerve, but Ulnar nerve is most commonly affected in thoracic outlet syndrome.